Origin of sympathetic fibers -
1. Cranial
2. Sacral
3. Dorsolumbar
4. None

Correct answer: 3. Dorsolumbar

Explanation: Ans. is 'c' i.e., Dorsolumbar SympatheticParasymoathetico Origino Distributiono Pre : Past ganglionic fibre ratioDorso-lumber(Tl to L2)Wide1:20 to 1: 100Cranio-sacral (III, VII, IX, X, S2-S4) Limited to head, Neck & trunk 1 :1 to 1 :2 o TransmitterNoradrenaline (Major) Acetylcholine (at some sites) Tackling stress & emergencyAcetylcholineo Important functionAssimilation of food, conservation of energy